Which of the following plasminogen activator (fibrinolytic) can be given as bolus dose in patients with acute myocardial infarction:
1. Urokinase
2. Alteplase
3. Reteplase
4. None

Correct answer: 3. Reteplase

Explanation: Essentials of medical pharmacology, seventh edition, page no =627 Answer is option3, reteplase It is a modified form of -PA that is longer acting, but somewhat less specific for fibrin bound plasminogen. The longer duration of action enables bolus dose administration, 10mg over 10 minutes repeated after 30minutes.